LN involved in cervical cancer :
1. External Iliac LN
2. Obturator LN
3. Hypogastric LN
4. All

Correct answer: 4. All

Explanation: Ans. is a, b and c i.e. Obturator LN; Hypogastric LN; and External iliac LN